Cryoprecipitate contains all except:
1. Factor VIII
2. Factor IX
3. Fibrinogen
4. VWF

Correct answer: 2. Factor IX

Explanation: Cryoprecipitate contains: Factor VIII Fibrinogen Von Willebrand factor. Factor XIII Fibronectin.